Kanawati index is used for -
1. Air population
2. PEM
3. Obesity definition
4. Infectivity

Correct answer: 2. PEM

Explanation: Ans. is 'b' i.e., PEMo Kanawati index is used to classify protein energy malnutrition (PEM).Kanawati index =Mid arm circumferenceHead circumferenceo Normal value is 0 331. Values between 0-310 - 0-280 indicate mild PEM, values between 0-279 - 0-250 indicate moderate PEM and values less than 0-250 indicate severe PEM.